Erythropoietin in kidney is secreted by
1. Juxtaglomerular cells
2. PCT cells
3. Interstitial cells in peritubular capillaries
4. Capillaries of glomerulus

Correct answer: 3. Interstitial cells in peritubular capillaries

Explanation: Interstitial cells in paritubular capillaries releoses erythroportin in responce to hypoxia.